Drug which may lead to hemolysis in a child with G6PD deficiency is –
1. Penicillin
2. Primaquine
3. Ceflriaxone
4. Erythromycin

Correct answer: 2. Primaquine